Which of the following ocular conditions is autosomal dominant in inheritance:
1. Best disease
2. Gyrate atrophy
3. Lawrence-Moon-Biedel syndrome
4. Bassen Kornzweig disease

Correct answer: 1. Best disease

Explanation: A i.e. Best disease